Dark radiolucent shadows appearing at the neck of teeth, most obvious on the mesial and distal aspect:
1. Radiation caries
2. Rampant caries
3. Early childhood caries.
4. None of the above

Correct answer: 1. Radiation caries